Trachelorrhaphy is:
1. Repair of trachea
2. Suture of the uterine cervix
3. Care of tracheostomy tube
4. Removal of foreign body from trachea

Correct answer: 2. Suture of the uterine cervix

Explanation: Ans. B i.e. Suture of the uterine cervix Trachelorrhpahy is repair by suture of a laceration of the cervix uteri.